Under NPCB, screening of school children is firstdone by
1. School teachers
2. Village health guide
3. Ophthalmologic assistant
4. Medical officer

Correct answer: 1. School teachers

Explanation: School teachers Under the National Programme for Control of Blindness, all children aged 10-14 years will be screened for refractive errors by trained teachers. Children who cannot read the 6/9 line with any eye are then sent to the ophthalmic assistant of the CHC for refraction test. Children needing spectacles are then provided free spectacles by opticians who have been contracted by the NPCB.